Biomedical waste(s) not to be discarded in Yellow Bag:
1. Human anatomical waste
2. Animal waste
3. Microbiological waste
4. Wasted sharps

Correct answer: 4. Wasted sharps